In a patch of vitiligo -
1. Melanin synthesis is inhibited
2. Melanosomes are absent
3. Melanocytes are absent
4. Melanocytes are reduced

Correct answer: 3. Melanocytes are absent

Explanation: C. i.e. Melanocytes are absent